Condition where subhyloid hemorrhage is associated with subarachnoid hemorrhage is
1. Posner-Schlossman syndrome
2. Axenfeld-Rieger syndrome
3. Pseudoexfoliation syndrome
4. Terson's syndrome

Correct answer: 4. Terson's syndrome

Explanation: Answer- D. Terson's syndromeTerson syndrome is intraocular hemorrhage associated with subarachnoid hemorrhage, intracerebral hemorrhage or traumatic brain injury. Hemorrhage may be present in the vitreous, sub-hyloid, or intraretina/ sub-internal limiting membrane.Subarachnoid hemorrhage may be directly transmitted forward through the optic nerve sheath.